An 8 years old boy from Bihar presents with a 6 months history of an ill defined, hypopigmented slightly atrophic macule on the face. The most likely diagnosis is:
1. Pityriasis alba
2. Indeterminate leprosy
3. Vitiligo
4. Calcium deficiency

Correct answer: 2. Indeterminate leprosy

Explanation: Indeterminate leprosy is characterized by: a. Solitary, hypo pigmentary patch over face in a child b. Scaling absent c. Atrophy present d. Patient from endemic area eg Bihar, Jharkhand, Chhattisgarh Differential diagnosis Pityriasis alba Intermediate leprosy Solitary, hypo pigmentary patch over face in a child + + Scaling + - H/O of Atopy + - H/o Atrophy - + Sensation Intact Impaired Histology Spongiosis Perifollicular paraneural lymphocytic infilterate Treatment Self limiting Paucibacillary- multi drug therapy